Chlorine exerts a disinfectant action in all except
1. Cetrimide
2. Bleaching Powder
3. Halozone tablets
4. Sodium hypochlorite

Correct answer: 1. Cetrimide